Micro-Wick is used in the treatment of
1. Control of epistaxis
2. Delivering drug to round membrane
3. Drooling of saliva
4. Frey syndrome

Correct answer: 2. Delivering drug to round membrane

Explanation: Microwick: It is a small wick made of polyvinyl acetate and measures 1 mm x 9 mm. It is meant to deliver drugs from external canal to the inner ear and thus avoid repeated intratympanic injections. It requires a tympanostomy tube (grommet) to be inserted into the tympanic membrane and the wick is passed through it. When soaked with drug, wick delivers it to the round window to be absorbed into the inner ear. It has been used to deliver steroids in sudden deafness and genta-micin to destroy vestibular labyrinth in Meniere's disease. Ref: Dhingra 7e pg 115.